Commonest cause of PPH is-
1. Uterine atony
2. Traumatic
3. Retained tissues
4. Blood coagulopathy

Correct answer: 1. Uterine atony

Explanation: Ans. is 'a' i.e., Uterine atony